Which of the following is not effective against anaerobes -
1. Gentamycin
2. Cefotetan
3. Imipenem
4. Clindamycin

Correct answer: 1. Gentamycin

Explanation: Arts, is 'a' i.e., Gentamycin Antibiotics that cover the Anaerobes1.Penicillin with Beta lactamase inhibitoro Augment in (Amoxicillin & Clavulanate)o Timentin (Ticaricillin & Clavulanatejo Unasyn (Ampicillin & Sulbactam)o Zosyn (Pipericillin & Tazobactam)2.Second generation Cephalosporinso Cefoxitino Cefotetano Cefmetazole3.Imipenem4.Chloramphenicol5.Clindamycin6.Metronidazole7.TrovafloxacinNote : Aminoglycosides are not active against anaerobes